1st part of GIT to gain motility in paralytic ileus is
1. Stomach
2. Large intestine
3. Rectum
4. Small intestine

Correct answer: 4. Small intestine

Explanation: 1st part to gain motility is small intestine.
Last part to gain motility is distal colon.